Gluteus medius muscle is supplied by
1. Obturator artery
2. Ilio-inguinal artery
3. Superior gluteal artery
4. Inferior gluteal artery

Correct answer: 3. Superior gluteal artery

Explanation: C i.e. Superior gluteal artery